A 30-year-old lady is found to have gallstones. She is asymptomatic and has never had any jaundice or dyspeptic symptoms in the past. The best course of management for her would be
1. Dissolution therapy
2. Extra corporeal lithotripsy
3. Cholecystectomy
4. To wait till she becomes symptomatic

Correct answer: 4. To wait till she becomes symptomatic

Explanation: Operation of not done in most cases of gallstones, it is done in symptomatic cases There was no clear cost benefit and no life years were gained from prophylactic Cholecystectomy, indicating no clear-cut advantages of prophylactic Cholecystectomy in asymptomatic cholelithiasis. As a result, in patients with asymptomatic gallstones, expectant management is recommended Ref: Blumgart 5th edition Pgno : 486